The following sympathomimetic amine has agonistic action on a1 + a2 + b1 + b3 adrenoceptors, but not on b2 receptors
1. Phenylephrine
2. Isoprenaline
3. Noradrenaline
4. Adrenaline

Correct answer: 3. Noradrenaline

Explanation: Ref:- kd tripathi; pg num:-130